The children hospital eastern ontario pain scale (cheops) for rating post operative pain in children in cludes all except aEUR'
1. Cry
2. Touch
3. Torso
4. Oxygen saturation

Correct answer: 4. Oxygen saturation

Explanation: Oxygen saturation CHILDREN'S HOSPITAL EASTERN ONTARIO PAIN SCALE (CHEOPS) (Recommended for children 1-7 years old) - A score greater than 4 indicates pain Item Behavioral Definition Score Cry No cry Moaning Crying Scream Child is not crying Child is moaning or quietly vocalizing silent cry Child is crying, but the cry is gentle or whimpering Child is in a full-lunged cry; sobbing; may be scored with complaint or without complaint. 1 2 2 3 Facial Composed Neutral facial expression 1 Grimace Score only if definite negative facial expression 2 Smiling Score only if definite positive facial expression 0 Child Verbal None Child not talking 1 Other complaints Child complains, but not about pain, e.g., "I want to see mommy" of I "I am thirsty". Pain complaints Child complains about pain 2 Both complaints Child complains about pain and about other things, e.g., "It hurts; I want my mommy". 2 Positive Child makes any positive statement or talks about others things without complaint. 0 Torso Neutral Body (not limbs) is at rest; torso is inactive. I Shifting Body is in motion in a shifting or serpentine fashion 2 Tense Body is arched or rigid 2 Shivering Body is shuddering or shaking involuntarily 2 Upright Child is in a vertical or upright position 2 Restrained Body is restrained 2 Touch Not touching Child is not touching or grabbing at wound 1 Reach Child is reaching for but not touching wound 2 Touch Child is gently touching wound or wound area 2 Grab Child is grabbing vigorously at wound 2 Restrained Child's arms are restrained 2 aiims pgmee answers & explanations - November 2008 Legs Neutral Legs may be in any position but are relaxed; includes gentle swimming or separate-like movements Squirm/ kicking Definitive uneasy or restless movements in the legs and/or striking out with foot or feet 2 Drawn up/tensed Legs tensed and/or pulled up tightly to body and kept there 2 Standing Standing, crouching or kneeling 2 Restrained Child's legs are being held down 2